Which of these types of fibroid may be removed at the time of a cesarean section?
1. Pedunculated fibroid
2. Broad ligament fibroid
3. Cervical fibroid
4. Intramural

Correct answer: 1. Pedunculated fibroid

Explanation: A myomectomy should not be performed during a caesarean section as the uterus is extremely vascular at this time and any attempt at a myomectomy can lead to torrential bleeding. However a pedunculated fibroid may be removed by clamping and ligating the pedicle, if easily accessible.